Acetic acid staining of cervix shows following except:
1. Squamous dysplasia
2. Cervical carcinoma in situ
3. Cervical polyp
4. Cervical dysplasia

Correct answer: 3. Cervical polyp